Kamino bodies are seen in
1. Lichen planus
2. Hailey-Hailey disease
3. Lichenoid tissue reaction
4. Spitz nevus

Correct answer: 4. Spitz nevus

Explanation: Kamino bodies are the eosinophilic globules seen in Spitz nevus( it is benign melanocytic nevus, a type of skin lesion, affecting the epidermis and dermis)